Fleeting painful sores are caused by
1. overextended denture boarders
2. occluding face height being too great
3. malocclusion
4. none of the above

Correct answer: 2. occluding face height being too great